Treatment of Mycobacteria avium complex include all except :
1. Ciprofloxacin
2. Clarithromycin
3. Rifabutin
4. Pyrazinamide

Correct answer: 4. Pyrazinamide